Killian's incision is used for -
1. Submucous resection of nasal septum
2. Intranasal antrostomy
3. Caldwell-Luc operation
4. Myringoplasty

Correct answer: 1. Submucous resection of nasal septum

Explanation: "The incision used for submucous resection is known as Killian's incision, whereas that used for septoplasty (at the free margin of the quadrangular cartilage) is Freer's incision". ─Essential otolaryngology.